Renshaw cell inhibition is a typical example of inhibition:
1. Direct
2. Recurrent
3. Indirect
4. Presynaptic

Correct answer: 2. Recurrent

Explanation: Ans. B. RecurrentREENSHAW CELL is a small cell with a short axon that connects motor nerve axons with each other. Stimulation of each motor neuron inhibits the surrounding motor neuron and this effect is known as recurrent inhibition.